Cryptococcus-neoformans is a -
1. Protozoa
2. Fungus
3. Parasite
4. Mycoplasma

Correct answer: 2. Fungus